Fungus not cultivable usually is
1. Rhinosporidium
2. Cryptococcus
3. Dermatophytes
4. Histoplasma

Correct answer: 1. Rhinosporidium

Explanation: Histoplasma- SDA or brain heart infusion agar. Cryptococcus- SDA and Niger seed agar media( Brown colonies). Dermatophytes - sabouraud glucose neopeptone agar, sabouraud agar. Reference: Textbook of Microbiology; Baveja; 4th edition